Aaron Beck's cognitive triad of depression includes all except
1. Negative thought of self
2. Negative thought of future
3. Negative thought of friends
4. Negative thought of environment

Correct answer: 3. Negative thought of friends

Explanation: Negative thoughts about friends aren't included in triad.Environment, self and future -hopelessness, worthlessness, helplessness are only described as triad by Aaron Beck Ref: Essentials of postgraduate psychiatry By JN Vyas 1st ed Pg 604